Which of the following is true regarding clasp arm?
1. Longer the clasp, less is its flexibility
2. Bar clasp arm is less flexible than circumferential clasp
3. Half round clasp is more flexible than round clasp
4. All of the above

Correct answer: 2. Bar clasp arm is less flexible than circumferential clasp

Explanation: Although a bar clasp arm will usually be longer than a circumferential clasp arm, its flexibility will be less because its half round form lies in several planes, which prevents its flexibility from being proportionate to its total length.